Berger flap procedure is used for
1. TMJ ankylosis
2. TMJ dislocation
3. Oro-antral communication
4. Pericoronitis

Correct answer: 3. Oro-antral communication